Helper cells belong to?
1. T cells
2. Macrophages
3. B cells
4. Monocytes

Correct answer: 1. T cells

Explanation: The category of effector T cell is a broad one that includes various T cell types that actively respond to a stimulus, such as co-stimulation. This includes helper, killer, regulatory, and potentially other T cell types. Reff: Ananthanarayanan & panikers textbook of microbiology 9th edition pg:135